Commonest type of ca breast is -
1. Papillary ca
2. Pagets disease
3. Fibrasorcoma
4. Infiltrative ductal ca

Correct answer: 4. Infiltrative ductal ca

Explanation: Ans is 'd' ie Infiltrative Ductal ca Almost all breast malignancies are adenocarcinomas, all other types (i.e. squamous cell Ca, phylloides tumors, sarcomas, and lymphomas are rare They are divided into two types ductal and lobular types each of which are further two types carcinoma in situ & invasive type. Ductal carcinomas arise from epithelium lining the ducts and lobular arises from the epithelium of the acini forming lobules. Infiltrative ductal Ca is the most common type of breast Ca.